20 year old male lalu develops multiple tender bleeding, nonindurated ulcer over prepuce and glans which are painful along with suppurative lymphadenopathy, 5 days after having sexual interc-ourse with a sex worker, most probable disease is
1. LGV
2. Herpes genitials
3. Molluscum Contagiousm
4. Chancroid

Correct answer: 4. Chancroid

Explanation: D i.e. Chancroid